Horner's syndrome causes all of the following clinical manifestations, EXCEPT:
1. Enophthalmos
2. Mydriasis
3. Anhidrosis
4. Narrowed palpebral fissure

Correct answer: 2. Mydriasis

Explanation: Horner's syndrome result from a lesion affecting the sympathetic supply to the eye. Manifestations of horner's syndrome includes 1-2mm ptosis, anhidrosis, enophthalmos and mild upper lid ptosis. Miosis in horner's syndrome occur from denervation of sympathetically innervated pupillary dilator muscle. Mild upper eyelid ptosis occur due to denervation of the sympathetically supplied superior tarsal muscle and corresponding elevation of the lower eyelid due to denervation of the lower eyelid retractors. Anhidrosis occur if the lesion is proximal to the carotid bifurcation. Ref: Pediatric Neuro-Ophthalmology edited by Michael C. Brodsky 2nd edn page 364.